Which of the following nerve fibers are present in the genu of internal capsule?
1. Sensory fibres from thalamus to brain
2. Motor fibres from lower limb
3. Motor fibres from upper limb
4. Motor fibres from trunk

Correct answer: 1. Sensory fibres from thalamus to brain

Explanation: Fibres travelling from the ventral posterior nuclei of the thalamus to the somatosensory area (in the postcentral gyrus) constitute the superior thalamic radiation. These fibres occupy the genu and posterior limb of the capsule. These fibres are third order sensory neurons responsible for conveying somesthetic sensations to the cerebral cortex. Ref: Textbook of Human Neuroanatomy By Inderbir Singh, 7th edition, Page 230-231.